Sudden painful loss of vision seen in –a) Angle closure glaucomab) Central retinal artery occlusionc) Acute uveitisd) Endophthalmitise) Retinal detachment
1. abc
2. acd
3. bc
4. bde

Correct answer: 2. acd

Explanation: Causes of sudden painful loss of vision are :- Acute angle closure glaucoma, acute iridocyclitis (acute uveitis), chemical or mechanical injury to eye, endophthalmitis and optic neuritis.